Linoleic acid is maximum in:
1. Groundnut oil
2. Safflower oil
3. Mustard oil
4. Coconut oil

Correct answer: 2. Safflower oil

Explanation: Safflower oil